Which of the following properties make pyridostigmine different from neostigmine ?
1. It is more potent
2. It is longer acting
3. It produces less muscarinic side effects
4. It does not have any direct action on NM receptors

Correct answer: 2. It is longer acting

Explanation: Though less potent than Neostigmine, Pyridostigmine has longer duration of action (3 to 6 hrs)
Duration of action of neostigmine is 0.5 to 2 hrs.